All of the following are true about medulloblastoma except?
1. It is the most common primary malignant brain tumor in childhood
2. Isochrome 17q indicates poor prognosis
3. Most common site is brainstem (medulla)
4. Tumor is highly radio sensitive

Correct answer: 3. Most common site is brainstem (medulla)

Explanation: Medulloblastoma occurs exclusively in the cerebellum.